MIBG (metaiodobenzyl guanithidine) is analogue to:
1. Epinephrine
2. Adenine
3. Norepinephrine
4. Guanine

Correct answer: 3. Norepinephrine

Explanation: Answer- (C) NorepinephrinePheochromocytoma can be localized using radioactive tracers including 131 I-or 123 l- metaiodobenzyl guanithidine (MIBG), 111 ln-somatostatin analogues, or 18 F-dopa (or dopamine) Positron-emission tomography (PET).